Acute intravascular hemolysis can be caused by infection due to all of the following organisms except
1. Clostridium tetani
2. Bartonella bacilliformis
3. Plasmodium falciparum
4. Babesia microti

Correct answer: 1. Clostridium tetani

Explanation: * Bartonella bacilliformis causes Oroya fever. The patient develops fever, severe headache and chills followed by severe anaemia due to the destruction of erythrocytes. * Plasmodium falciparum and babesia microti cause RBC destruction. * Clostridium produces tetanospasmin which blocks synaptic inhibition in the spinal cord which results in muscle rigidity and spasm. Ref: Baveja textbook of microbiology; 4th edition